The following combination of agents are the most preferred for short day care surgeries –
1. Propofol, fentanyl, isoflurane
2. Thiopentone sodium, morphine, halothane
3. Ketamine, pethidine, halothane
4. Propofol, morphine, halothane

Correct answer: 1. Propofol, fentanyl, isoflurane

Explanation: Amongst the given options, option a is best. However, isoflurane has now been replaced by desflurane and sevoflurane.
Drugs used in day care surgery :- Propofol, Desflurane, Sevoflurane, Mivacurium, Alfantanil, Sufentanil, Remifentanil, Fentanyl.